Agoraphobia is -
1. Fear of closed space
2. Fear of crowds
3. Fear of death
4. Fear of fire

Correct answer: 2. Fear of crowds